Autoimmune Disease mediated by T cells is
1. Myasthenia gravis
2. Autoimmune atrophic gastritis of pernicious anemia
3. Multiple sclerosis
4. Systemic lupus erythematosus

Correct answer: 3. Multiple sclerosis

Explanation: Autoimmune DiseasesDiseases Mediated by AntibodiesDiseases Mediated by T CellsDiseases Postulated to Be AutoimmuneAutoimmune hemolytic anemiaSystemic lupus erythematosusAutoimmune thrombocytopeniaAutoimmune atrophic gastritis of pernicious anemiaMyasthenia gravisGraves diseaseGoodpasture syndromeType 1 diabetes mellitusRheumatoid ahritisMultiple sclerosisSystemic sclerosisInflammatory bowel diseasesPrimary biliary cirrhosisPolyaeritis nodosaAutoimmune (chronic active) hepatitisInflammatory myopathiesRef: Robbins and Cotran Pathologic Basis of Disease; 9th edition; Chapter 6; Diseases of the Immune System; Page no: 211; Table: 6-6